Nerve carrying motor component of light reflex?
1. 1St nerve
2. 2" nerve
3. 3' nerve
4. 4th nerve

Correct answer: 3. 3' nerve

Explanation: Ans. is `C' i.e., 3rd nerve